The most diagnostic test for SLE is ?
1. Complement fixation test
2. Antibodies against ANA cell
3. Antibodies against DNA
4. Antibodies against nucleus

Correct answer: 3. Antibodies against DNA

Explanation: Ans. is 'c' i.e., Antibodies against DNA